Action of superior rectus muscle-
1. Abduction
2. Adduction
3. Elevation
4. Depression

Correct answer: 3. Elevation

Explanation: Ans. is 'c' i.e., Elevation * Has been explained in NEET Dec.-16